Psammoma bodies may be seen in all of the following, except:
1. Follicular carcinoma of thyroid
2. Papillary carcinoma of thyroid
3. Meningioma
4. Serous cystadenocarcinoma of ovary

Correct answer: 1. Follicular carcinoma of thyroid

Explanation: Psammoma Bodies (PSM) 1. Papillary carcinoma thyroidQ 2. Papillary carcinoma (RCC)Q 3. Serous cystadenomaQ 4. MeningiomaQ